Hill-Sachs lesion in recurrent shoulder dislocation is
1. Injury to humeral head
2. Rupture of tendon of supraspinatus muscle
3. Avulsion of glenoid labrum
4. None of the above

Correct answer: 1. Injury to humeral head

Explanation: A i.e. Injury to humeral head